ENL is seen in -
1. Lepromatous leprosy
2. Tuberculoid leprosy
3. Indeterminate leprosy
4. Pure neuritic leprosy

Correct answer: 1. Lepromatous leprosy